Within the RBC, hypoxia stimulates glycolysis by which of the following regulating pathways?
1. Hypoxia Stimulates pyruvate dehydrogenase by increased 2,3 DPG
2. Hypoxia inhibits hexokinase
3. Hypoxia stimulates release of all Glycolytic enzymes from Band 3 on RBC membrane
4. Activation of the regulatory enzymes by high PH

Correct answer: 3. Hypoxia stimulates release of all Glycolytic enzymes from Band 3 on RBC membrane

Explanation: Ans. C. Hypoxia stimulates release of all Glycolytic enzymes from Band 3 on RBC membraneHypoxia stimulates RBC glycolysis by promoting release of all glycolytic enzymes from Band 3 on RBC membrane.